Sulfur donor in phase II Detoxification is -
1. FeS
2. SAM
3. PAPS
4. GSH

Correct answer: 3. PAPS